. Primary biliary cirrhosis is positive for
1. PANCA
2. Anti-mitochondrial antibody
3. Anti nuclear antibody
4. Anti-microsomal antibody

Correct answer: 2. Anti-mitochondrial antibody

Explanation: Primary Biliary Cirrhosis(PBC) - A progressive autoimmune liver disease characterised by non suppurative, inflammatory destruction of intra hepatic bile ducts. Characteristic autoantibody detected in primary biliary cirrhosis is antimitochondrial antibody Consequences: bile duct destruction-impaired secretion of bile, cholestasis, and inflammatory reaction in the portal tract-hepatic damage, fibrosis- cirrhosis and liver failure. SYSTEMIC AND GENERAL PATHOLOGY RAMDAS NAYAK PG NO 461 IMAGE REF: